Section 53 CrPC is-
1. Kidnapping
2. An accused can be examined by a medical practitioner at request of police, even without his consent or by force
3. Torture
4. Perjury

Correct answer: 2. An accused can be examined by a medical practitioner at request of police, even without his consent or by force

Explanation: Ans. is `b' i.e., An accused can be examined by a medical practitioner at request of police, even without his consent or by force Section 53, CrPC: A registered medical practitioner can examine a person who is arrested on a charge of anoffence using reasonable force, if requested by a police officer not below the rank of Sub-Inspector